Which of the following is/are the application/s of FISH?
1. Gene mapping
2. Study of 3D chromosome organization in interphase nuclei
3. Monitoring the success of bone marrow transplantation
4. All the above

Correct answer: 4. All the above

Explanation: DiagnosticThe identification of specific chromosome abnormalitiesThe characterization of marker chromosomesInterphase FISH for specific abnormalities in cases of failed cytogeneticsMonitoring disease progressionMonitoring the success of bone marrow transplantationResearchThe identification of new non-random abnormalities (by M-FISH or SKY)Gene mappingIdentification of regions of amplification or deletion by CGHThe identification of translocation breakpointsThe study of 3D chromosome organization in interphase nuclei